Most common type of appendix is
1. Retrocecal
2. Pelvic
3. Retrocolic
4. Subhepatic

Correct answer: 1. Retrocecal

Explanation: Ans. a (Retrocecal). (Ref. Bailey and Love, 25th/pg.l205)Vermiform appendix is a muscular tubular structure arising from caecum.Its various positions include:Retrocaecal74%Pelvic21%Paraceacal2%Sub-caecal1.5%Preileal1%Postileal0.5%The appendicular artery is branch of lower division of iliocolic artery.